Which of the following is an antimetabolite?
1. Methotrexate
2. Cyclosporine
3. Etoposide
4. Vinblastine

Correct answer: 1. Methotrexate

Explanation: Methotrexate is an antimetabolite that acts by inhibiting DHFRase.